Bisphosphonates are not used in ?
1. Paget's disease
2. Osteoporosis
3. Cancer induced osteolysis
4. Vitamin D intoxication

Correct answer: 4. Vitamin D intoxication